A 72-year-old male comes to the MOPD with intermittent symptoms of dyspnea on exertion, palpitations, and cough occasionally productive of blood. On cardiac auscultation, a low-pitched diastolic rumbling murmur is faintly heard toward the apex. The origin of the patient's problem probably relates to
1. Rheumatic fever as a youth
2. Long-standing hypertension
3. Silent MI within the past year
4. Congenital origin

Correct answer: 1. Rheumatic fever as a youth

Explanation: The history and physical exam findings are consistent with mitral stenosis. Dyspnea may be present secondary to pulmonary edema; palpitations are often related to atrial arrhythmias (PACs, PAT, atrial flutter or fibrillation); hemoptysis may occur as a consequence of pulmonary hypertension with rupture of bronchial veins. A diastolic rumbling apical murmur is characteristic. An accentuated first heart sound and opening snap may also be present. The etiology of mitral stenosis is usually rheumatic, rarely congenital. Two thirds of patients afflicted are women.